aplastic anemia is the side effect of
1. valproate
2. carbamezepine
3. lamotrigine
4. lithium

Correct answer: 2. carbamezepine

Explanation: Carbamazepine - SIDE EFFECTS OF THE DRUG - APLASTIC ANEMIA - AGRANULOCYTOSIS - Hyponatremia - Steven Johnson's syndrome - Liver enzyme elevation - It has teratogenic potential Ref. Kaplon and sadock, synopsis of psychiatry, 11 th edition, pg no.935